Supports of the uterus are all except -
1. Utero sacral ligament
2. Broad ligament
3. Mackenrodt's ligament
4. Levator ani

Correct answer: 2. Broad ligament

Explanation: Primary supports of Uterus
-        Muscular support

   Pelvic diaphragm (Levator ani), urogenital diaphragm, perineal body.

-        Mechanical support

   Uterine axis, pubocervical ligament, Mackenrodt ligament, uterosacral ligament, round ligament of the uterus.